Sphenopalatine foramen opens in relation to which of the following wall of pterygopalatine fossa?
1. Medial wall
2. Lateral wall
3. Superior wall
4. Inferior wall

Correct answer: 1. Medial wall

Explanation: Medial wall of pterygopalatine fossa is formed by perpendicular plate of the palatine. It has the opening sphenopalatine foramen to the nasal cavity which transmits the sphenopalatine artery and nasopalatine nerve.Structures forming boundaries of pterygopalatine fossa are:Anterior wall is formed by posterior surface of maxilla or posterior wall of maxillary sinus.Posterior wall is formed by pterygoid process and greater wing of sphenoid. Openings in the posterior wall are foramen rotundum to middle cranial cavity, pterygoid canal into foramen lacerum, pterygopalatine canal to choana.Medial wall is formed by perpendicular plate of the palatine. Lateral wall is openRoof: greater wing and body of the sphenoid. The opening is the inferior orbital fissue to the orbit.Floor: formed by fusion of the maxilla and the pterygoid process of the sphenoid. The opening is greater palatine foramen.